True about Mosquito preventive nets are all except
1. Hole size <0.0475
2. 150 holes per square inch
3. Best pattern in circular
4. There should be no rent

Correct answer: 3. Best pattern in circular

Explanation: Mosquito Nets Material : White Best pattern : Rectangular net Hole/ rent : Not even a single one should be present Size of each hole : <0.0475 inch diameter. Number of holes /sq. Inch : 150 Ref: Park 25th edition Pgno : 810